Not true about visceral pleura
1. Pain insensitive
2. Supplied by phrenic nerves
3. Has three borders
4. Develops from splanchnopleural mesoderm

Correct answer: 2. Supplied by phrenic nerves

Explanation: Parietal pleura is supplied by phrenic nerves B D CHAURASIA'S HUMAN ANATOMY UPPER LIMB THORAX-VOLUME-1 SIXTH EDITION,page no-230